In alopecia areata,seen is -
1. Exclamation mark hair
2. Scarring
3. Fungal infection
4. Traumatic

Correct answer: 1. Exclamation mark hair

Explanation: Alopecia areata is characterized by exclamation mark hairs. In this hairs fracture at their distal end and taper proximally to a pencil point giving them the appearance of an exclamation mark Page 240 Ref Harrison20th edition pg 1234